Critical pH for initiation of caries:
1. 4.3-4.5
2. 5.2-5.5
3. 4.9-5.1
4. 6.2-6.5

Correct answer: 2. 5.2-5.5